In significant bacteriuria, count will be
1. >105/ml
2. >103
3. >102
4. >104

Correct answer: 1. >105/ml

Explanation: Ans (a) > 105/mlGrowth of >105 indicate infectionmost common organism causing UTI -E coliD O C of uncomplicated UTI- Trimethorprim